Scolpolamine used mostly in:
1. Hyperemesis gravidarum
2. Vomiting
3. Constipation
4. Motion sickness

Correct answer: 4. Motion sickness

Explanation: Ans. (d) Motion sicknessRef. Katzung's pharma 12th ed. /1100* Scopolamine (hyoscine) is a prototypic muscarinic receptor antagonist, and is one of the best agents for the prevention of motion sickness.* Scopolamine has many effects in the body including decreasing the secretion of fluids, slowing the stomach and intestines, and dilation of the pupils.* Scopolamine is also used to relieve nausea, vomiting, and dizziness associated with motion sickness and recovery from anesthesia and surgery.